All are produced exclusively by liver, except -
1. Factor VII
2. Prothrombin
3. Globulin
4. Albumin

Correct answer: 3. Globulin

Explanation: Ans. is 'c' i.e., GlobulinProteins produce exclusively by liver : ?o Albumino Coagulation proteins --> Prothrombin, fibrinogen, factor V, VII, X.